Specific diagnosis of ascaris is made by -a) Adult worm in stool b) Egg detectionc) Antigen detectiond) Antibody detectione) Skin test
1. acd
2. bcd
3. abc
4. abd

Correct answer: 4. abd

Explanation: Laboratory diagnosis of Ascariasis
Parasitic diagnosis:

Demonstration of characteristic Ascaris eggs in the stool: Eggs are passed in large numbers.
Concentration of stool by Salt floatation and Formalin-ether method- light infections
Demonstration of egg in bile (duodenal intubation)
Demonstration of adult worm in stool/ vomitus- after treatment with antihelminthics.
Demonstration of larvae in gastric aspirate, sputum or bronchial aspirates – pulmonary infections
Serodiagnosis- In case extraintestinal Ascarisis

Antibody detection by

Microprecipitation on the larvae
Indirect hemagglutination test
Immunofluorescent antibody test.